Type of Collagen in Hyaline Cartilage is
1. Type I
2. Type II
3. Type III
4. Type IV

Correct answer: 2. Type II

Explanation: Types of Collagen in different tissues
Type I - Bone, skin
Type II - Hyaline and elastic Cartilage
Type III - Skin, ligament, blood vessels
Type IV - Basement membrane in various tissue
Type V - Blood vessel wall, Synovium, corneal stroma